One of the constituents of the commonly used metered dose inhalers in bronchial asthma which is an air pollutant & dangerous to earth's stratosphere is -
1. Flurocarbons
2. Salbutamol
3. Ozone
4. Oxygen

Correct answer: 1. Flurocarbons